Apixaban is a new drug that acts by :
1. Inhibiting TNF alpha
2. Inhibiting coagulation factor Xa
3. Inhibiting platelet aggregation
4. Activating plasminogen

Correct answer: 2. Inhibiting coagulation factor Xa

Explanation: Rivaroxaban and Apixaban are newer oral anticoagulants that act by inhibiting factor Xa.
Newer oral anticoagulants that are currently being asked in the exams are:

Dabigatran (Direct thrombin inhibitor)
Rivaroxaban
Apixaban